'Policemen gene' or 'Guardian gene' is the name given to?
1. Myc
2. Meu
3. P53
4. Abl

Correct answer: 3. P53

Explanation: p53 acts as a 'molecular policemen' that prevents the propagation of genetically damaged cells. p53 is crucial in multicellular organisms, where it regulates the cell cycle and, thus, functions as a tumor suppressor that is involved in preventing cancer. As such, p53 has been described as "the guardian of the genome" because of its role in conserving stability by preventing genome mutation. Ref: Robbins Pathology, 7th Ed, page 302